The organism contributing to vaginal defence mechanism is _________
1. Doderlein's bacillus
2. Staphylococcus
3. Streptococcus
4. Treponema pallidum

Correct answer: 1. Doderlein's bacillus

Explanation: The organism contributing to vaginal defence mechanism is Doderlein's bacillus. Doderlein's bacillus is a gram positive rod shaped bacillus which grows anaerobically in acidic media. It appears in vagina 3-4 days after birth and disappears after 10-14 days. It appears again at puberty and disappears after menopause. Its presence is dependent on estrogen Its function is to convert glycogen to lactic acid and maintains acidic pH in vagina thus preventing growth of pathogenic bacteria. Ref: Shaw's textbook of Gynaecology 17th edition Pgno: 16